BERA is a reliable indicator in the diagnosis of:
1. Otosclerosis
2. Vestibular neuronitis
3. Acoustic schwannoma
4. Vestibular Migraine

Correct answer: 3. Acoustic schwannoma

Explanation: The best audiometric test for acoustic neuroma is BERA. The most diagnostic finding suggestive of acoustic neuroma on BERA is increased interaural latency of wave V of > 0.2 ms.